Esotrotropia is most commonly associated with
1. Hyperopia
2. Myopia
3. presbyopia
4. Astigmatism

Correct answer: 1. Hyperopia

Explanation: Near vision impaired they try to compensate by increasing their accomodation Infants are hyperopic by 2.5 D they are esotropic at birth ref : ak khurana 7th ed